'Accompanied MDT' in NLEP implies:-
1. A patient will be given MDT only in the presence of a MDT provider
2. MDT should be accompanied with steroids / Clofazimine to help fight reversal reactions
3. Any responsible person from family or village can collect MDT, if patient is unable to come
4. MDT prescription should be accompanied by all the precautions to be observed by the patient

Correct answer: 3. Any responsible person from family or village can collect MDT, if patient is unable to come

Explanation: Accompanied MDT in NLEP : - If patient is unable to come to collect his/her MDT from clinic, any responsible person from family or village can collect it; Designed to help patients who have to interrupt their treatment due to any avoidable reason. Especially useful for irregular patients. Gives patients a choice; patients can collect entire MDT course when diagnosed after proper counseling. Extra edge: - NLEP launched Sparsh Leprosy Awareness Campaign on Anti-leprosy day, in 2017, to generate awareness, reduce stigma & improve self-reporting of the cases. - This is done through postures of a school girl called 'SAPNA' who spreads awareness in the community. - Nikusth is used for data managment of leprosy cases. - Mycobacterium Indicus Prani (MiP) vaccine is given for pts with multibacillary leprosy & their contacts.